HACEK group includes all of the following except
1. Hemophilus arophilus
2. Acinetobacter baumanni
3. Eikenella corrodens
4. Cardiobacterium hominis

Correct answer: 2. Acinetobacter baumanni

Explanation: Ans. (b) Acinetobacter baumanni Ref. Harrison 17/e, p 926; 18/e, p 1233 HACEK organism are a group of fastidious, slow growing, Gram negative bacteria whose growth requires an atmosphere of CO,. Species belonging to this group include: Hemophilus species Actinobacillus actinomycetemcomitans Cardiobacterium homin us Eikenella corrodens Kingella kingae Endocarditis is the most common disease caused by them.